The membranous part of the interventricular septum is situated in between:
1. Right ventricle and right atrium
2. Right ventricle and left atrium
3. Left ventricle and left atrium
4. Left ventricle and right atrium

Correct answer: 4. Left ventricle and right atrium

Explanation: Membranous part of ventricular system is a small portion of the ventricular and atrioventricular septum located at the base of the heart adjacent to the anteroseptal tricuspid commissure , the right aortic posterior valve commissure and the anterior mitral valve leaflet. Because of the apical displacement of the tricuspid valve compared to mitral valve, a portion of the membranous septum separates the left ventricle from the right atrium. The remaining three regions of the ventricular septum are inlet, outlet and trabecula. They are all muscular and and they radiate out from the membranous septum. Ref: Echocardiography in Pediatric and Adult Congenital Heart Disease edited by Benjamin W. Eidem, page 196.